Type of necrosis seen in MI is?
1. Coagulative necrosis
2. Liquefactive necrosis
3. Caseous necrosis
4. Fat necrosis

Correct answer: 1. Coagulative necrosis

Explanation: Ans. is 'a' i.e., Coagulative necrosis Coagulative necrosis* This is the most common type of necrosis. The primary pathogenic mechanism is denaturation of intracellular proteins. The causes of coagulative necrosis are1. Coagulative necrosis is mostfrequently caused by sudden cessation of bloodflow (ischemia) in solid organssuch as heart (MI), Kidney (ATN), Liver, adrenal gland, spleen. Amongst solid organs brain is the only exception, i.e., it is the only solid organ in which ischemia leads to liquefactive necrosis and not coagulative necrosis.2. Toxic products of certain bacteria, as in calf diphtheria, necrophorus enteritis and other forms necrobacillosis.3. Certain locally acting poisons, e.g., mercuric chloride.4. Mild burns (thermal injury), whether produced by heat, electricity, or x-rays.5. Zenker's degeneration necrosis of muscle. It occurs in typhoid. Rectus and diaphragm are the usual muscles affected.